Drug used in diabetes is:
1. Salmeterol
2. Acetohexamide
3. Benserazide
4. Methoxamine

Correct answer: 2. Acetohexamide

Explanation: Acetohexamide is a first-generation sulfonylurea medication used to treat diabetes mellitus type 2. Salmeterol is a beta 2-selective agonist with a prolonged duration of action (>12 hours). Benserazide is a peripherally-acting aromatic L-amino acid decarboxylase or DOPA decarboxylase inhibitor, which is unable to cross the blood-brain barrier. Methoxamine acts pharmacologically like phenylephrine, since it is predominantly a direct-acting 1-receptor agonist. It may cause a prolonged increase in blood pressure due to vasoconstriction; it also causes a vagally mediated bradycardia. Ref: Biaggioni I., Robertson D. (2012). Chapter 9. Adrenoceptor Agonists & Sympathomimetic Drugs. In B.G. Katzung, S.B. Masters, A.J. Trevor (Eds), Basic & Clinical Pharmacology, 12e.